'Boari's Operation' is
1. Renal pelvic flap
2. Urinary diversion
3. Bladder flap
4. None

Correct answer: 3. Bladder flap

Explanation: Bladder flap